CO2 diffuses more easily through the respiratory membrane than O2 because it is-
1. Less dense
2. More soluble in plasma
3. Less molecular weight
4. Less PCO2 in the alveoli

Correct answer: 2. More soluble in plasma

Explanation: Ans. (b) More soluble in plasma(Ref: Ganong, 25th ed/p.639)The diffusion coefficient of CO2 is about 20 times that of O2 . So, CO2 diffuses much faster and easily than O2